All are true regarding Idiopathic edema of woman except-
1. It is due to estrogen mediated sodium retention
2. It is not related to menstrual cycle
3. There is increased water retention in upright position
4. ACE inhibitors can be useful in some cases

Correct answer: 1. It is due to estrogen mediated sodium retention

Explanation: Idiopathic edema is a common cause of fluid retention and swelling (edema) in women. "Idiopathic" means that the cause of this condition is unknown. Idiopathic edema occurs in the absence of heart, kidney, or liver disease. It is often associated with diabetes, obesity, and emotional problems Ref Davidson 23rd edition pg 369